Heating and subsequent plating is a method used for isolating -
1. Corynebacterium
2. Vibrio
3. Salmonella
4. Clostridia

Correct answer: 4. Clostridia